All of the following conditions are indications of Radioactive iodine use, EXCEPT:
1. Age > 40 years
2. Elderly
3. Hyperthyroid children
4. Presence of comorbidities

Correct answer: 3. Hyperthyroid children

Explanation: Radioiodine (I 131) may be given safely after patient has been treated with antithyroid drugs and becomes euthyroid. Radioiodine is indicated for patients who are over 40 or are poor risk for surgery and patients with recurrent hypothyroidism. It is less expensive than the operative treatment and is effective. To date, radioiodine treatment at doses necessary to treat hyperthyroidism has not been associated with an increase in leukemia or the induction of congenital anomalies. However, an increased incidence of benign thyroid tumors and rare cases of malignant thyroid tumors has been noted to follow treatment of hyperthyroidism with radioiodine. In young patients, radiation hazard is certainly increased, and the chance of developing hypothyroidism is virtually 100%. The incidence of hypothyroidism increases about 3% per year after treatment with radioiodine. Steroids should be given to patients with grave's ophthalmopathy, whenever radioiodine is used. Hyperthyroid children and pregnant women should not be treated with radioiodine. Ref: L & B 25/e, Page 787-88 ; CSDT 11/e, Page 301-02